Rabies vaccine for pre exposure prophylaxis is given at?
1. 0, 3, 7 days
2. 0, 3, 7, 14 days
3. 0, 3, 7, 14, 30 days
4. 0, 7, 28 days

Correct answer: 4. 0, 7, 28 days

Explanation: pre exposure prophylaxis (PrEP) in rabies:- Performed with any of the modern cell derived vaccine. PrEP is recommended to anyone who is at continual,frequent or at increased risk of exposure to rabies either as a result of their occupation or residence( veterenerians, lab workers). Travellers with extensive outdoor exposure and children living in rural high risk areas are at particular risk. Schedule:- intramuscular 1ml/0.5ml or intradermal 0.1 ml one site each day on days 0, 7, 21/28. Booster doses of rabies are not required for individuals living in or travelling to high risk areas who have recieved a complete primary series of pre exposure/post exposure prophylaxis with CCV. Periodic booster injections are recommended as an extra precaution only for people whose occupation puts them at continual/ frequent risk of exposure. {Reference: park's textbook of preventive and social medicine, 23rd edition, pg no.280}